Alkalinization of urine is done during administration of which of the folloiwng chemotherapeutic drugs?
1. Ara-C
2. Methotrexate
3. Cisplatin
4. Ifosafamide

Correct answer: 2. Methotrexate

Explanation: Ans is 'b' i.e. Methotrexate o Urine alkalinization by NaHCO3 enhances the elimination of weak acids, e.g. Salicylates, Phenobarbitone, Chlorpropamide, formic acid and methotrexate.